The following psychopathologies are characteristics of which psychiatric condition; waxy flexibility, negativism and rigidity:
1. Paranoid schizophrenia
2. Catatonic schizophrenia
3. Hebephrenic schizophrenia
4. Negative schizophrenia

Correct answer: 2. Catatonic schizophrenia

Explanation: Catatonic schizophrenia is associated with most obvious and dramatic motor disturbances and other features of schizophrenia. Most studies conclude that rates of catatonia in Schizophrenia amounts to around 5%. There is a decline in the diagnosis of catatonic schizophrenia, possibly due to the differences in the diagnostic categories and the availability of more effective psychotropic drugs.Ref: Catatonia: From Psychopathology to Neurobiology By Stanley N. Caroff, 2004, Page 16; Kaplan and Sadock's Synopsis of Psychiatry: By Benjamin J. Sadock, Harol I. Kaplan, Virginia A. Sadock, 2007, Page 541.